Antisera is obtained from
1. Guinea pig
2. Horse
3. Rat
4. Rabbit

Correct answer: 2. Horse

Explanation: Antisera (Antitoxins): Materials prepared in animals; non-human sources like horses